Use of Siegel's speculum during examination of the ear provides all except:
1. Magnification
2. Assessment of movement of the tympanic membrane
3. Removal of foreign body from the ear
4. As applicator for the powdered antibiotic of ear

Correct answer: 3. Removal of foreign body from the ear

Explanation: Correct answer : C. Removal of foreign body from the ear Uses of Seigel's speculum Assess movement of tympanic membrane Introduce medicine into the middle ear To have a magnified view of ear pathology To assess vestibular function by fistula test